Non typable strains of H. influenzae all are true except
1. Most commonly affects adults
2. Non capsulated
3. Often causes meningitides
4. None of the above

Correct answer: 3. Often causes meningitides